Cow milk as compared to human milk has more -
1. Lactose
2. Lactoferrin
3. Antibodies
4. Proteins

Correct answer: 4. Proteins

Explanation: Ans. is 'd' i.e., Proteinso In comparison to cow milk, human milk contains more : Lactose (7 g/100 ml or 7%), antibodies, lactoferrin and other antiinfective factors.o In comparison to cow milk, human milk contains less amount of: Proteins (1 gm/100 ml), salts (sodium, chloride, potassium), fat (3.4 gm/100 ml), and minerals (calcium, phosphate)o Though, the amount of mineral and salts is less in human milk, they are in correct amount, where as they are in excess in cow milk. The coefficeint of uptake of iron in breast milk is 70%.o Human milk protein constitute mainly whey protein, where as casein is the main protein in cow's milko Different constituents of human breast milk provides evergy in following percentage. Carbohydrate 30-40%, protein 7-10% and fat 45-60%.Nutritive value of milks compared (value per 100 grams) BuffaloCowGoatHumanFat (g)6[?]54[?]14[?]53[?]4Protein (g)4[?]33[?]23[?]31[?]1Lactose (g)5[?]14[?]44[?]67[?]4Calcium (mg)21012017028Iron (mg)0[?]20[?]20[?]3 Vitamin C (mg)1213Minerals (g)0[?]80[?]80[?]80[?]1Water (g)81[?]08786[?]888Energy (kcal)117677265